Which of the following disorder is not autosomal dominant
1. Huntington's chorea
2. Neurofibromatosis -2
3. Tuberous sclerosis
4. Friedrich ataxia

Correct answer: 4. Friedrich ataxia

Explanation: Friedrich ataxia - Autosomal recessive.